Shortest acting skeletal muscle relaxant is –
1. Suxamethonium
2. Mivacurium
3. Pancuronium
4. Vecuronium

Correct answer: 1. Suxamethonium